Which one of the following conditions is associated with Kawasaki's syndrome?
1. Acute rheumatic fever
2. Pulseless disease
3. Coronary artery aneurysm
4. Systemic lupus erythematosus

Correct answer: 3. Coronary artery aneurysm

Explanation: Kawasaki disease is an acute, febrile, multisystem disease of children. Although the disease is generally benign and self-limited, it is associated with coronary artery aneurysms in approximately 25% of cases.There is typical intimal proliferation and infiltration of the vessel wall with mononuclear cells. Beadlike aneurysms and thromboses may be seen along the artery. Other manifestations include pericarditis, myocarditis, myocardial ischemia and infarction, and cardiomegaly. High-dose IV g-globulin (2 g/kg as a single infusion over 10 h) together with aspirin (100 mg/kg per day for 14 days followed by 3-5 mg/kg per day for several weeks) have been shown to be effective in reducing the prevalence of coronary artery abnormalities when administered early in the course of the disease. Surgery may be necessary for Kawasaki disease patients who have giant coronary artery aneurysms or other coronary complications. Surgical treatment most commonly includes thromboendarterectomy, thrombus clearing, aneurysmal reconstruction, and coronary artery bypass grafting.Ref: Harrison's Principles of Internal Medicine; 19th edition; Chapter 385 The Vasculitis Syndromes; Page no: 2193